Chances of vertical transmission of Hepatitis B may be high as
1. 25%
2. 40%
3. 60%
4. 90%

Correct answer: 4. 90%

Explanation: Answer is D (90%) The rate of perinatal transmission of hepatitis B (HBV) essentially depends on the presence or absence of HBe Ag and viral replication. The rate of perinatal transmission of HBV may be as high as 90% in neonates born to mothers who are positive for HBe AG. 'The likelihood of perinatal transmission of HBV correlates with the presence of HBe Ag and high level viral replication. 90% of HBe Ag positive mothers but only 10-15% of Anti-HBe Ag negative mothers transmit HBV to their offspring' - Harrison 18th/2547 `Transmission of infection from an HBV carrier mother to her neonate accounts for the majority of new infections in the world today. Sixty to 90% of Hepatitis B surface antigen (HBs Ag) positive mothers who are Hepatitis B 'e' antigen (HBe Ag) positive transmit the disease to their offspring, whereas mothers who are positive for antibody to HBe Ag (Anti - HBe) do so less frequently (15-20%). -